By WHO best criteria for TB diagnosis is
1. Sputum + ve
2. Chest pain
3. Cough – 3 weeks
4. X-ray finding

Correct answer: 1. Sputum + ve